The radiological feature of Pindhorg's tumour is:
1. Onion-peel appearance
2. Sun burst appearance
3. Driven snow appearance
4. Cherry blossom appearance

Correct answer: 3. Driven snow appearance

Explanation: Ans. Driven snow appearance